Chilotic line is:
1. Line on hip bone for sex determination
2. Line on femur for sex determination
3. Line on hip bone for race determination
4. Line in femur bone for race determination

Correct answer: 1. Line on hip bone for sex determination

Explanation: Line on hip bone for sex determination